According to Registration of Births and Deaths Act 1969, the birth and death are to be registered, respectively in
1. 14 days and 7 days
2. 7 days and 14 days
3. 21 days and 21 days
4. 14 days and 21 days

Correct answer: 3. 21 days and 21 days